Minimum level of iodine iodized salt reaching the consumer level according to iodine programme should be:-
1. 5 ppm
2. 30 ppm
3. 15 ppm
4. 20 ppm

Correct answer: 3. 15 ppm

Explanation: National Iodine deficiency disorder programme , 1992: - National goitre control programme, 1962 is converted to NIDDCP, 1992 - Impact indicators: Major indicator - Urinary iodine excretion levels ( generally measured in pregnant women over 24hrs) Others - Neonatal hypothyroidism , Goitre - Level of salt iodinisation: 30 ppm at production level 15 ppm at consumer level - Two-in-one salt: 40mcg iodine + 1mg iron/gm of salt MBI kits- Field Test Kits that allow Iodised salt manufacturers, quality controllers, health inspectors, social workers, NGO activists and even school children to assess the amount of iodine in iodised salt.